All are true about paralytic strabismus EXCEPT -
1. Binocular diplopia
2. Flase orientation
3. Primary deviation = Secondary deviation
4. False projection

Correct answer: 3. Primary deviation = Secondary deviation

Explanation: Secondary deviation is more than primary deviation in paralytic squint. Secondary deviation: It is deviation of the normal eye seen under cover, when the patient is made to fix with the squinting eye. It is greater than the primary deviation. This is due to the fact that the strong impulse of innervation required to enable the eye with paralysed muscle to fix is also transmitted to the yoke muscle of the sound eye resulting in a greater amount of deviation. This is based on Hering's law of equal innervation of yoke muscles. Ref: AK Khurana 6thE pg 354